String of beads sign seen in:
1. Gastroduodenal TB
2. Genital TB
3. Spinal tuberculosis
4. IleocaecalTB

Correct answer: 2. Genital TB

Explanation: Ans. b. Genital TBString of beads sign seen:Fibromuscular dysplasiaChr. Pancreatitis (chain of lakes)Small bowel obstructionVaricose bronchiectasisTuberculous salpingitis (Genital TB)